True regarding Munro Micro Abscess is all EXCEPT:
1. Seen in stratum corneum
2. Debris consists of Eosinophils
3. Associated Pustule may be present
4. Seen in Psoriasis

Correct answer: 2. Debris consists of Eosinophils

Explanation: ANSWER: (B) Debris consists of EosinophilsREF: Rook's 7th e p. 35.1MUNRO'S MICROABSCESS:Neutrophils form aggregates as a slightly spongiotic foci of superficial epidermis (spongiform pustules) and within parakeratotic stratum corneum which are called munro's microabcesses seen in psoriasis